The transitory structures that may be seen during early tooth development are
1. Enamel Knot
2. Enamel Navel
3. Enamel Cord
4. All of the above

Correct answer: 4. All of the above